Alport's syndrome is due to defective-
1. Collagen
2. Elastin
3. Fibrillin
4. Proteoglycan

Correct answer: 1. Collagen

Explanation: Out of various hereditary nephritis, Alport's syndrome is relatively more common and has been extensively studied. This is an X-linked dominant disorder having a mutation in a-5 chain of type IV collagen located on X-chromosome. Ref: Harsh Mohans textbook of pathology 6th edition page 678